As per 'Rule of Nine', each lower limb accounts for how much % of total body surface area:
1. 1%
2. 9%
3. 18%
4. 27%

Correct answer: 3. 18%

Explanation: Ans. C i.e. 18%